Which of the following viruses, in addition to HSV-1 and HSV-2, produces the cytopathologic findings of multinucleated giant cells
1. Adenovirus
2. Cytomegalovirus
3. Varicella-zoster virus
4. Epstein-Barr virus

Correct answer: 3. Varicella-zoster virus

Explanation: Tzanck smear assay can be used to identify the characteristic cytopathologic effects of multinucleated giant cells in herpetic skin lesions; however, this assay cannot distinguish among HSV-1, HSV-2, and VZV infections. Ref:- Baveja textbook of Microbiology